True about status marmoratus is all except ?
1. Present in basal ganglia
2. Associated with asphyxia
3. Have a marbled appearance
4. Unilateral

Correct answer: 4. Unilateral

Explanation: Ans. is 'd' i.e., Unilateral o Extrapyramidal cerebral palsy secondary to acute intrapartum near-total asphyxia is associated with bilaterally symmetric lesions in the posterior putamen and ventrolateral thalamus. o These lesions appear to be the correlate of the neuropathologic lesion called status marmoratus in the basal ganglia. o These are present in full-term infants of basal nucleus lesions resulting from acute total asphyxia. o The lesions have a marbled appearance caused by neuronal loss and an overgrowth of myelin in the putamen, caudate, and thalamus.